Endogenous triglycerides in plasma are maximally carried in :
1. VLDL
2. Chylomicrons,
3. LDL
4. HDL

Correct answer: 1. VLDL

Explanation: A i.e. VLDL